Colour of Oxygen cylinder is:
1. Blue
2. Grey
3. Orange
4. Black and White

Correct answer: 4. Black and White

Explanation: Black and White